Saw tooth appearance in abdominal barium enema X-ray:
1. Multiple polyposis
2. Prediverticulosis
3. Ischemic colitis
4. Ulcerative colitis

Correct answer: 2. Prediverticulosis

Explanation: Ans. (b) PrediverticulosisRef: Sabiston Textbook of Surgery, 20th edition, Pages 1330-32* Barium enema studies were primarily used before the advent of computed tomography (CT) scans and have largely been abandoned as a primary tool as they provide information only about the luminal surface of the colon and cannot be performed if perforation is suspected.* The findings include Saw-tooth appearance to the colon, usually sigmoid, with shortening of bowel, crowding of haustra and picket-fencing of folds is seen in prediverticular disease.